Actions of bradykinin include all of the following, except-
1. Vasodilatation
2. Bronchodilatation
3. Increased vascular permeability
4. Pain

Correct answer: 2. Bronchodilatation

Explanation: Ans. (b) Bronchodilatation(Ref: Robbins 9th/pg 65, 89)Functions of bradykinin:Increases vascular permeability, vasodilationSmooth muscle contraction and pain when injected into the skin.